Which of these statements is FALSE about infective endocarditis in I.V. drug abusers-
1. Candida is a common cause.
2. Pulmonary valve is commonly involved
3. Staphylococcus aureus is commonest organism
4. Tricuspid valve is most commonly involved

Correct answer: 2. Pulmonary valve is commonly involved

Explanation: Infective endocarditis in I.V. drug abusers usually involves the right side of the heart.
The tricuspid valve is most commonly involved.
The pulmonary valve is involved in fewer cases only.
The most common organism causing endocarditis in I.V. drug abusers is =>staphylococcus aureus.
Other common organisms are :
Candida
Enterococcus fetalis
Pseudomonas
Serratia marcescens